Modified Jones's criteria includes all the following as major criteria except:
1. Subcutaneous nodules
2. Arthritis
3. Fever
4. Carditis

Correct answer: 3. Fever

Explanation: c. Fever(Ref: Nelson's 20/e p 1332-1334)Mnemonic:Major criteria for RF diagnosis: 'R-A-C-E-S'Rheumatic NodulesArthritisCarditisErythema maginatumSydenham's chorea